The indicator teeth used in the Ramjford index are:
1. 11,16,26,31,36,46
2. 16,21,24,36,41,44
3. 1,16,21,26,36,46
4. 11,14,21,24,36,46

Correct answer: 2. 16,21,24,36,41,44